Cushing ulcers are:-
1. Stress ulcers in burns
2. Stress ulcers in head injury
3. Stress ulcers in hiatus hernia
4. Stress ulcers in depression

Correct answer: 2. Stress ulcers in head injury

Explanation: Cushing ulcers or stress ulcers: Stress induced gastritis (or) Haemorrhagic Gastritis M/C site - stomach M/C site in stomach - Fundus > Body > Antrum As the max. concentration of parietal cells are seen in fundus it is the m/c site of occurrence Two types of stress ulcers: CUSHING ULCERS - Head injury CURLING ULCERS - BURNS